Which type of endocarditis has vegetation on both sides of the valves -
1. Infective endocarditis
2. Libman Sack's endocarditis
3. RF
4. None

Correct answer: 2. Libman Sack's endocarditis

Explanation: of sterile vegetations on the valves of patients with systemic lupus erythematosus. The lesions probably develop as a consequence of immune complex deposition and thus exhibit associated inflammation, often with fibrinoid necrosis of the valve substance adjacent to the vegetation; subsequent fibrosis and serious deformity can result in lesions that resemble chronic rheumatic heart disease. These can occur anywhere on the valve surface, on the cords, or even on the atrial or ventricular endocardium (Robbins basic pathology,9th edition,pg no.395)